All of the following have interaction with warfarin except-
1. Barbiturate
2. Oral contraceptive
3. Cephalosporins
4. Benzodiazepens

Correct answer: 4. Benzodiazepens

Explanation: Ans. is 'd' i.e., Benzodiazepenes